In a patient with acoustic neuroma all are seen except:
1. Facial nerve may be involved with unilateral deafness
2. Reduced corneal reflex
3. Cerebellar signs
4. Acute episode of vertigo

Correct answer: 4. Acute episode of vertigo

Explanation: Vestibular symptoms seen in acoustic neuroma are imbalance or unsteadiness. True vertigo is seldom seen Acute episode of vertigo is a rare presenting feature in acoustic neuroma since it is a slow growing tumor so there is adequate time for compensation.